Vitelline vein forms
1. Ligamentum venosum
2. Ligamentum teres
3. Portal vein
4. Coronary sinus

Correct answer: 3. Portal vein

Explanation: Inderbir Singh'sHuman embryology Tenth edition Pg 265 The parts of right and left vitelline that lie outside the substance of the liver undergo alterations leading to formation of portal vein 2 vitelline veins shows anastomosis before opening into sinus venosus that is 1dorsal and 2 ventral (proximal and distal). At dorsal anastomosis spleenic and superior mesentric vein joins vitelline vein portal vein is formed by:Dorsal anastomosis ventral anastomosis Right vitelline vein